The minimum mesiodistal space required for placement of two standard diameter implants (4.0 mm diameter) between teeth is
1. 8 mm
2. 20 mm
3. 10 mm
4. 14 mm

Correct answer: 4. 14 mm